Not a component of DOTS
1. Accountability
2. Political commitment
3. Uninterrupted drug supply
4. Medicines given for 30 days

Correct answer: 4. Medicines given for 30 days

Explanation: Components of DOTS

Accountability
Political commitment
Uninterrupted drug supply
Good quality sputum microscopy
Directly observed treatment.